Features seen in common peroneal nerve injury-
1. Inversion inability
2. Loss of sensation of sole
3. Foot drop
4. Loss of flexion of great toe

Correct answer: 3. Foot drop

Explanation: Common peroneal nerve injury may result in
-        Foot drop
-        Weakness of dorsiflexion
-        Inability to extend the toes.
-        Loss of eversion
-        Sensory loss
o   Anterior side of leg
o   Lateral side of leg
o   Dorsum of foot and toes (including medial side of big toe)
Common peroneal nerve injury does not affect
-        Sensation on lateral border of foot (Supplied by Sural nerve)
-        Sensation on medial border of foot (Supplied by saphenous nerve)
-        Ankle reflex